All of the following are Hypomotility disorders of oesophagus except
1. Nut cracker oesophagus
2. Achalasia cardia
3. Gastroesophageal reflux
4. Scleroderma

Correct answer: 1. Nut cracker oesophagus

Explanation: MOTILITY DISORDERS OF OESOPHAGUS They can be divided into: 1. Hypermotility disorder:- e.g. cricopharyngeal spasm, diffuse oesophageal spasm, nut cracker oesophagus. 2. Hypomotility disorders:- e.g. cardiac achalasia, gastrooesophageal reflux, scleroderma, amyotrophic lateral sclerosis. Ref:- Dhingra; pg num:-344